Cytokine produced by TH1 cells
1. IL-2
2. IL-4
3. IL-5
4. IL-6

Correct answer: 1. IL-2

Explanation: IL-2 produced by TH1 cells induces proliferation of activated T4 cells, Tc cells and some Nk cells.